Gun stock deformity is seen in:
1. Supracondylar fracture of humerus
2. Lateral condyle fracture
3. Radial head fracture
4. Ulnar head fracture

Correct answer: 1. Supracondylar fracture of humerus

Explanation: Ans. (a) Supracondylar fracture of humerusRef: Maheshwari 5th ed. /102; Essential Orthopedics by J. Maheshwari, P 98* Most common complication of supracondylar fracture is malunion, which further can lead to cubitus varus deformity. This is because of the reason that fracture unites with the distal fragment tilted medially and in internal rotation.* This cubitus varus is usually termed as gun stock deformity.* Most common nerve damaged in supracondylar fracture: Anterior Interosseous Nerve.